Strongest flexor of the hip is -
1. Sartorious
2. Gluteus maximus
3. iliopsoas muscle
4. Pectineus

Correct answer: 3. iliopsoas muscle

Explanation: Psoas major and Iliacus together known as iliopsoas, are the chief flexors of the hip.